The technique used for separation and detection of RNA is which one of the following?
1. Northern Blot
2. Southern Blot
3. Eastern Blot
4. Western Blot

Correct answer: 1. Northern Blot

Explanation: Ans. (a) Northern BlotRef: Harper's Biochemistry, 30th ed. pg. 362-63Northern blotThe northern blot is a technique used in molecular biology research to study gene expression by detection of RNA (or isolated mRNA) in a sample.Southern blotA Southern blot is a method routinely used in molecular biology for detection of a specific DNA sequence in DNA samplesEastern blotThe eastern blot is a biochemical technique used to analyze protein post translational modifications (PTM) such as lipids, phosphomoieties and glycoconjugates.It is most often used to detect carbohydrate epitopes. Thus, Eastern blotting can be considered an extension of the biochemical technique of Western blotting.Western blotThe western blot (sometimes called the protein immunoblot) is a widely accepted analytical technique used to detect specific proteins in a sample of tissue homogenate or extract